Which one of the following extraocular muscles is served by a contra lateral brainstem subnucleus?
1. Superior rectus
2. Medial rectus
3. Inferior oblique
4. Inferior rectus

Correct answer: 1. Superior rectus

Explanation: Ans. (a) Superior rectusRef: Parson's, 22/e, p. 408Innervation of superior rectus is contralateral, rest all recti have ipsilateral innervation.